The preferred treatment of cubitus varus is
1. Medial closing wedge osteotomy
2. Lateral closing wedge osteotomy
3. Medial opening wedge osteotomy
4. Lateral opening wedge osteotomy

Correct answer: 2. Lateral closing wedge osteotomy

Explanation: DeformityOsteotomyCubitus varusLateral closing wedge osteotomy, Medial opening wedge osteotomyCubitus valgusMedial closing wedge osteotomy, Lateral opening wedge osteotomy (Refer: Mohindra's Fundamentals of Orthopedics, 2nd edition, pg no. 81)